Route of administration of vancomycin in pseudomembranous colitis is:
1. i.m.
2. oral
3. i.v.
4. s.c

Correct answer: 2. oral